First site to be affected in genital tuberculosis :
1. Ovary
2. Cervix
3. Fallopian tube
4. Vagina

Correct answer: 3. Fallopian tube

Explanation: Fallopian tube